Preferred route for giving TPN for a patient for <14 days is
1. Peripheral vein
2. IJV
3. EJV
4. None of the above

Correct answer: 1. Peripheral vein

Explanation: Peripheral Parental Nutrition : for feeding <2 weeks 
Central Parenteral Nutrition : for feeding > 2 weeks